Which of the following is called balanced resuscitation?
1. Giving colloids and crystalloids at a ratio of 1:1
2. Maintaining pH ensuring acid-base balance
3. Maintaining permissible hypotension to avoid bleeding
4. Maintaining airway, breathing and circulation

Correct answer: 3. Maintaining permissible hypotension to avoid bleeding

Explanation: ANS. CComponents of damage control resuscitation:1. Permissive hypotension essential definitive surgical control2. Minimize crystalloid use3. Initial use of 5% hypertoxic saline4. Early use of blood products5. Treat coagulopathy